Which one of the following variants of renal cell carcinoma has the worst prognosis -
1. Papillary
2. Tubuloalveolar
3. Chromophobe
4. Sarcomatoid

Correct answer: 4. Sarcomatoid